Prostaglandin in cervical ripening -
1. PGE2
2. PGF 2 alpha
3. Carboprost
4. PGE4

Correct answer: 1. PGE2

Explanation: Ans. is 'a' i.e., PGE 2 Methods of Cervical RipeningPharmacological MethodsNon Pharmacological MethodsProstaglandinsStripping of the membraneso Dinoprostone (PGE2) : gel, tablet, suppositoryo Misoprostol (PGE1) : tabletAmniotomyOxytocinMechanical.' osmotic dilators (laminaria)Progesterone receptor antagonistMifeprestone (RU 486)Transcervical balloon catheterReiaxin Hyaluronic acid Estrogen